Phagocytosis in brain is caused by -
1. Astrocytes
2. Microglia
3. Oligodendrocytes
4. Ependymal cells

Correct answer: 2. Microglia

Explanation: Ans. is 'b' i.e., Microglia Microglial cells are the major phagocytic cells in C.N.S. At the time of injury microglial cells modify to form macrophages called Gitter cells.Oligodendrocytes - They secrete myelin sheath in CNSSchwann cells - The secrete myelin sheath in peripheral nervous system.